Cadaveric position of vocal cords is seen in
1. Bilateral recurrent and superior laryngeal nerve palsy
2. Bilateral recurrent laryngeal nerve palsy
3. Unilateral superior laryngeal nerve palsy
4. Bilateral superior laryngeal nerve palsy

Correct answer: 1. Bilateral recurrent and superior laryngeal nerve palsy

Explanation: Position of cord Location from midline Defect Median midline RLN palsy Paramedian 1.5 mm RLN palsy Intermediate 3.5 mm Both RLN and superior laryngeal nerve palsy Gentle abduction 7.5mm ADDUCTOR PALSY